A 7 year old girl is brought with complaints of generalized swelling of the body. Urinary examination reveals grade 3 proteinuria and the presence of hyaline and fatty casts. She has no history of hematuria. Which of the following statements about her condition is true -
1. No IgG deposits or C3 deposition on renal biopsy
2. C3 level will be low
3. IgA nephropathy is the likely diagnosis
4. Alport's syndrome is the likely diagnosis

Correct answer: 1. No IgG deposits or C3 deposition on renal biopsy

Explanation: Ans. is 'a' i.e., No IgG deposits or C3 deposition on renal biopsy This girl is having i) Generalized swelling (edema) ii) Grade 3 proteinuria iii) Fatty casts (lipiduria) iv) No hematuria o All these features suggest the diagnosis of nephrotic syndrome. o Minimal change disease is the commonest cause of nephrotic syndrome in children. o Minimal change disease is characterized by absence of IgG deposits and/or complement on immunofluorescence.